Drug of Choice for Digoxin induced Ventricular Tachycardia
1. Verapamil
2. Diltiazem
3. Propranolol
4. Lignocaine

Correct answer: 4. Lignocaine

Explanation: * Lignocaine is the drug of choice for Digoxin induced Ventricular Tachycardia. * Digoxin, a cardiac glycoside - used in treatment of heart failure and in control of ventricular rate in atrial fibrillation/flutter. * It has low margin of safety and high toxicity index. (Therapeutic Index: 1.5-3). * About 25% of patients on Digoxin therapy develop toxicity features. * Digoxin toxicity can induce almost any cardiac dysrrhythmia except rapidly conducted atrial arrhythmias like atrial flutter and atrial fibrillation. Mobitz type II AV block is also a rare phenomenon in digoxin toxicity. Second-degree AV block (Type 2) is usually caused by structural damage to the distal conduction system located in the ventricular portion of the myocardium- linked to an infarction/idiopathic Fibrosis/cardiac surgery/ infections/ inflammations/ auto-immune disease. * Digoxin- specific Fab antibody is a specific antidote for Digoxin Overdosage. (~40mg of Fab = 1mg Digoxin ). Ref:- KD Tripathi Essentials of Medical Pharmacology 8th Ed; Pg num:- 560